Which of the follow ing hepatitis viruses is a DNA virus -
1. Hepatitis C virus
2. Hepatitis B virus
3. Delta agent
4. Hepatitis E virus

Correct answer: 2. Hepatitis B virus

Explanation: Ans. is 'b' i.e., Hepatitis B virus o Hepatitis B is the only hepatitis virus w hich has DNA. All others are RN A viruses.o Among the hepatitis viruses, HBV (hepadanavirus) and HCV (flavivirus) can cause hepatocellular carcinoma.VirusHAV, 27 nm RNA Picomavirus (Hepatovirus)HBV, 47 nm DNA (Hepadnavirus)HCV, 30-60 nm RNA, Flavivirus (Hepacivirus)HD V, 35-37 nm Defective RNA DeltavirusHEV, 32-34 nm RNA HerpesvirusModes of infectionFecal-oralPercutaneous, Vertical, SexualPercutaneousPercutaneousFecal-oralAge affectedChildrenAny ageAdultsAny ageYoung adultsIncubation period (days)154530-18015-16030-18015-60OnsetAcuteInsidiousInsidiousInsidiousAcuteIllnessMildOccasionally severeModerateOccasionally severeMild, except in pregnancyCarrier stateNilCommonPresentNil (only with HBVNilOncogenicityNilPresent specially after neonatal infectionPresentNilNilPrevalenceWorldwideWorldwideProbably worldwideEndemic areas (Mediterranean, N Europe, Central and N America)Only developing countries (India Asia. Africa Central, America)Specific prophylaxisIg and Vaccineig and vaccineNilHBV vaccineNil